Which of the following fungi are called BLACK YEASTS?
1. Saccharomyces cereveciae
2. Exophiala jeanselmei
3. Candida tropicalis
4. Cryptococcus neoformans

Correct answer: 2. Exophiala jeanselmei

Explanation: Some fungi grow initially as BLACK YEASTS when incubated at room temperature but subsequently become mycelia during course of incubation. These are: Wangiella dermatitidis, Exophiala jeanselmei, Aureobasidium pullulans and Exophiala spinifera.